Which TLR is present on flagella of bacteria
1. TLR -1
2. TLR - 3
3. TLR - 5
4. TLR - 7

Correct answer: 3. TLR - 5

Explanation: Toll like receptor (TLR) - 5 is present in flagellin.